Paget's disease also known as -
1. Osteitis deformans
2. Osteitis fibrosa cystica
3. 0steochondritis
4. Osteomalacia

Correct answer: 1. Osteitis deformans